DIC is not seen in :
1. Intrauterine death
2. Missed abortion
3. Amniotic fluid embolism
4. Inevitable abortion

Correct answer: 4. Inevitable abortion

Explanation: Inevitable abortion